Colies fracture:
1. Fracture line is at radioulnar joint
2. Fracture line extends to the carpal joint
3. 2 cm proximal to the radiocarpal joint
4. Distal fragment is ulnar deviated

Correct answer: 3. 2 cm proximal to the radiocarpal joint

Explanation: Ans. cRef. Maheshwari 5th edOption aFalseDoes not involve the radioulnar jointOption bFalseIt is an extra-articular fracture and does not go to the jointOption cTrueYes, correctOption dFalseNo distal fragment is lateral deviatedOption eFalseNo distal fragment is dorsal deviatedREMEMBERColles: Dorsal displacementSmith's: Volar displacementDorsal Barton: Dorsal radial rimChauffeur's: Radial styloidVolar Barton's: Volar radial rimREMEMBER:Plaster casts and their usesName of the castUseMinerva castCervical spine diseaseRisser's castScoliosisTurn-buckle castScoliosisShoulder spica*Shoulder immobilizationU-slabFracture of the humerus Name of the cast UseHanging cast Fracture of the numerusColies cast Colles fractureHip spica Fracture of the femurCylinder cast Fracture of the patellaPTB cast Fracture of the tibia*A spica is a cast where a limb and a part of the trunk are included, e.g., hip spica, shoulder spica.Deformities due to fracturesDeformityFractureGun stock deformity (cubitus varus)Supracondylar fracture of the humerusCubitus valgusFracture of lateral condyle of humerusDinner fork deformityColles fractureMallet fingerAvulsion of the extensor tendon from base of distal phalanxCoxa varaInter-trochanteric fractureGenu valgumCondylar fractures of tibia (e.g., bumper fracture)Varus-valgus at ankleAnkle injuriesColies Fracture Transverse fracture of the distal radius with dorsal displacement of the distal fragment Fracture at the corticocancelous junction Dinner fork deformity.